Which of the following general anaesthetics has poor muscle relaxant action?
1. Ether
2. Nitrous oxide
3. Halothane
4. Isoflurane

Correct answer: 2. Nitrous oxide

Explanation: (Ref: KDT 6/e p371) Nitrous oxide is not a complete anaesthetic (MAC 104%). It is a good analgesic but poor muscle relaxant.